Anaesthetic drug which possess proconvulsive activity and is used in electroconvulsive therapy is:
1. Propofol
2. Methohexital
3. Ketamine
4. Thiopentone

Correct answer: 2. Methohexital

Explanation: Methohexital is the anesthetic of choice in patients undergoing electroconvulsive therapy as it can produce burst suppression of the EEG. It can increase ictal activity and can cause seizures in these patients.